In children raised ICT is manifested by –
1. Lytic lesions in skull wall
2. Rarefaction of dorsum of sella
3. Sutural diastasis
4. None

Correct answer: 3. Sutural diastasis

Explanation: Suture diastasis is the first and most important sign of raised ICT in infants and children.